Cretinism is -
1. Disproportionate dwarfism
2. Short stature with long trunk
3. Short stature with short trunk
4. Long stature with long trunk

Correct answer: 1. Disproportionate dwarfism

Explanation: Ans. is 'a' i.e., Disproportionate dwarfism Note - Patient has short stature with short limbs.